A 6 year old female patient complains of pain due to a decayed lower right 2nd molar. During the treatment, patient becomes uncooperative and throws a tantrum. The dentist then asks the mother to step out of the operatory, after which the child begins to cooperate. The example demonstrated by the dentist falls under which type of conditioning, as described by Skinner?
1. Positive reinforcement
2. Negative reinforcement
3. Omission
4. Punishment

Correct answer: 3. Omission

Explanation: Omission (also called time-out), involves removal of a pleasant stimulus after a particular response. For example, if a child who throws a temper tantrum has his favorite toy taken away for a short time as a consequence of this behavior, the probability of similar misbehavior is decreased.